A patient made a self-diagnosis of athlete's foot (tinea pedis) and began using a product advertised on television. The condition improved but did not clear and then the patient showed himself to a Dermatologist. A skin was sent to the laboratory for culture, including culture for fungi. The fungal culture yielded a slow growing colony, which produced a few small microconidia. This is consistent with isolation of a dermatophyte of the genera
1. Trichophyton
2. Microsporum
3. Epidermophyton
4. Trichosporon

Correct answer: 1. Trichophyton

Explanation: Athletes foot - caused by Trichophyton rubrum and epidermophyton floccosum. Genus trichophyton - microconidia. Genus Microsporum and epidermophyton - macroconidia. Reference: Textbook of Microbiology; Baveja; 4th edition .